True about propofol:
1. Indicated in egg allergy
2. Can be used in porphyria
3. It is of barbiturate group
4. All

Correct answer: 2. Can be used in porphyria

Explanation: B i.e. Can be used in porphyria